Which of the following cranial nerves does not carry parasympathetic outflow
1. Oculomotor
2. Trochlear
3. Facial
4. Glossopharyngeal

Correct answer: 2. Trochlear

Explanation: Ref: Clinical Neuroanatomy 2nd edition Vishram Singh (page no:238) Katzung 11/e p78 parasympathetic fibers arise from brainstem run through 3rd (oculomotor), 7th (facial), 9th(glossopharyngeal), 10th(vagus) cranial nerves and terminate in the parasympathetic ganglia in the head and neck So Trochlear nerve not included in this outflow